Raised MCV in pregnancy can be due to all except
1. Megaloblastic Anaemia
2. Alcohol use
3. Hypothyroidism
4. Iron Deficiency

Correct answer: 4. Iron Deficiency

Explanation: MCV > 100fl is macrocytic First sign of megaloblastic anemia in pregnancy is usually an elevated red cell MCV Causes Megaloblastic: Folate deficiency, Vitamin B 12 deficiency and Orotic aciduria Non-Megaloblastic: Liver disease, Alcoholism, Reticulocytosis, Hypothyroidism Drugs: Azathioprine, 5-Flourouracil, Zidovudine, Hydroxyurea Reference: High risk pregnancy; Fernando Arias; 4th edition; Page no: 236, 237